Which is associated with tuberculosis:
1. Silicosis
2. Asbestosis
3. Bagassosis
4. Bysinosis

Correct answer: 1. Silicosis

Explanation: Ans: a (Silicosis) Ref: Harrison's, 16th ed, p. 1523; 17th ed, p. 1614TB may be associated with silicosis. In silicosis TB may modify the silicotic process with ensuing caseation and calcification.SilicosisCaused by crystalline silicon dioxide (silica), quartz particlesSilica is the most fibrogenic dust.Occupational exposures in - mining, stonecutting, glass and cement manufacturingPathological featuresFibrotic nodules are seen in the upper lobe. It may also lead to progressive massive fibrosisRadiological featuresIt shows small rounded opacities in upper lobeHilar adenopathy is seen - egg shell calcification in these nodesPatient with silicosis have a greater risk of acquiring Mycobacterium tuberculosis and atypical mycobacterial infectionsSilicosis progresses even when exposure to dust ceases.Acute silicosis-An intense exposure to very fine crystalline silica dust for just 10 months can cause acute silicosis. It shows profuse miliary infiltration and it is rapidly fatal.